During high temperature body is prevented from heat by
1. Cutaneous vasodilatation
2. Cooling effect of sweat
3. Increased cutaneous vasodilatation and cooling effect of sweat
4. Shivering

Correct answer: 3. Increased cutaneous vasodilatation and cooling effect of sweat

Explanation: (C) Increased cutaneous vasodilatation and cooling effect of sweat TEMPERATURE-REGULATING MECHANISMS.Mechanisms activated by coldMechanisms activated by heat* Increase heat production* Increase heat loss* Shivering* Cutaneous vasodilation* Hunger* Sweating* Increased voluntary activity* Increased respiration* Increased secretion of norepinephrine and epinephrine* Decrease heat production* Decrease heat loss* Anorexia* Cutaneous vasoconstriction* Apathy and inertia* Curling up * Horripilation